A most common cause of esophageal perforation at the site of cricopharynx -
1. Spontoneous
2. Iatrogenic
3. Traumatic
4. None

Correct answer: 2. Iatrogenic

Explanation: Oesophageal perforation is of two types : Iatrogenic (MC) A common site is cervical esophagus Just above the upper sphincter. Spontaneous rupture As seen in Boerhaave's syndrome (Rupture of esophagus are vomiting). Common in the lower 1/3 of esophagus. ref - Internet